Which is not a feature of fungal corneal ulcer?
1. White dry
2. Immune ring
3. More symptomatic than bacterial ulcer
4. Non-sterile hypopyon.

Correct answer: 3. More symptomatic than bacterial ulcer

Explanation: Ans. is 'c' i.e., More symptomatic than bacterial ulcer Clinical features of fungal (mycotic) corneal ulcer* Symptoms are similar to bacterial corneal ulcers but in general they are less marked than the equal sized bacterial ulcer. On the other hand signs are very prominent, i.e. signs are more prominent than symptoms. Following signs can be seen: -i) Greyish-white dry looking ulcer with the elevated rolled out feathery & hyphate margins.ii) Feathery finger like extension into surrounding stroma under intact epithelium.iii) A sterile immune ring (yellow line) ofWesseley.iv) Multiple small satellite lesions.v) Non-sterile (infected) hypopyon (Pseudohypopyon) containing fungus.vi) Perforation is rare and corneal vascularization is conspicuously absent.